Spalding's sign is seen in :
1. Still born
2. Live bom
3. Premature
4. Dead bom

Correct answer: 4. Dead bom

Explanation: Ans. is d i.e. Dead born SpaldingSign : It is the irregular overlapping of the cranial bones on one another, due to liquefaction of the brain matter and softening of the ligamentous structures supporting the vault. Appears 7 days after death. Is evident on both Ultrasound and Radiology. Similar features may be found in extra-uterine pregnancy with live fetus.